Which layer of epidermis is underdeveloped in pre-term baby?
1. Stratum germinativum
2. Stratum granulosum
3. Stratum lucidum
4. Stratum corneum

Correct answer: 4. Stratum corneum

Explanation: Ans. d. Stratum corneumStratum corneum is underdeveloped in preterm or very low birth weight (VLBW) infants in initial 7 days.The development of the layers of the epidermis starts from below upwards. Therefore, stratum basale is first to be form and stratum corneum is the last layer to form.In preterm infants, stratum corneum is permeable and becomes similar to the adult and full term infant after 2 to 3 weeks postnatal maturation.